All of the following are poor prognostic factors for Hodgkin's disease, Except:
1. Younger age
2. Systemic manifestations
3. Lymphocyte depletion
4. Mediastinal disease

Correct answer: 1. Younger age

Explanation: Answer is A (Younger age) Lymphocyte depletion subtype, presence of mediastinal disease and systemic manifestation are all established poor prognostic factors Stomach involvement reflects advanced stage of disease and is likely to be associated with a poor prognosis.